A patient was brought to emergency with complaints of high-grade fever and altered sensorium. He was diagnosed to be suffering from meningococcal meningitis. Which of the following is the most appropriate empirical treatment option?
1. Ceftriaxone
2. Piperacillin--Tazobactam
3. Penicillin
4. Cotrimoxazole

Correct answer: 1. Ceftriaxone

Explanation: Answer- A. CeftriaxoneMeningococcal meningitisTreatment:3rd generation cephalosporin such as cefotaxime or ceftriaxone is DOC for initial therapyProphylaxis: Rifampicin is DOC for meningococcal prophylaxisANTIBIOTIC RECOMMENDATIONS FOR BACTERIAL MENINGITIS:BACTERIAANTIBIOTIC(IV)DURATIONStreptococcus PneumoniaVancomycin+3rd gen. Cephalosporin(Cefotaxime or ceftriaxone) 10-14 daysNesseria meningitidis3rd gen. Cephalosporin(Cefotaxime or ceftriaxone) orPenicillin G or Ampicillin 5-10 days H.influenza3rd gen. Cephalosporin(Cefotaxime or ceftriaxone) 7-10 days Listeria monocytogensPenicillin G or Ampicillin + Aminoglycocide14-21 days GBSPenicillin G or Ampicillin + Aminoglycocide 14-21 days E.coli 3rd gen. Cephalosporin(Cefotaxime or ceftriaxone) 21 days